Most common hormone deficiency seen after intracranial radiation therapy –
1. Prolactin
2. Gonadotropins
3. ACTH
4. Growth hormone

Correct answer: 4. Growth hormone

Explanation: Growth hormone deficiency is a most common endocrinal complication of intracranial radiotherapy.